Multiple fractures are seen in:
1. Rickets
2. Osteogenesis imperfecta
3. Osteomyelitis
4. Osteoma

Correct answer: 2. Osteogenesis imperfecta